A 36 year old female presented with fever (105oF), Leucocytosis (15,000/mm3. She also complained of vomiting, diarrhoea, She had eaten a fried rice at chinese restaurant. She became ill four days after her menstrual period she had retained a vaginal tampon. What is the diagnosis:
1. SSSS
2. Toxic Shock Syndrome
3. Staphylococcal food poisoning
4. Waterhouse friderichsen syndrome

Correct answer: 2. Toxic Shock Syndrome

Explanation: Toxic shock syndrome is associated with use of vaginal tampon by menstruating females.